Intrinsic factor of castle is secreted by which of the following ceils in gastric glands -
1. Chief cells
2. Parietal cells
3. Enterochromaffin cells
4. B cells

Correct answer: 2. Parietal cells

Explanation: Ans. is 'b' i.e.. Parietal cells In stomacho Parietal cells (oxyntic cells) secrete - HC1 and intrinsic factor of castle,o Chief cells (zymogen or peptic cells) secrete - Pepsinogen,o G cells secrete - Gastrino D cells secrete - Somatostatino ECL cells secrete - Histamine